A postspinal headache is due to -
1. Injury to spinal cord
2. CSF leak from dura
3. Meningitis
4. Raised intracranial pressure

Correct answer: 2. CSF leak from dura